Which one of the following is not a feature of Phenylketonuria?
1. Severe intellectual disability
2. Reduced tendon reflexes
3. Enamel hypoplasia
4. Vomiting in early infancy

Correct answer: 2. Reduced tendon reflexes

Explanation: Ans. is `b' i.e., Reduced tendon reflexesReflexes are hyperactive.